Latent phase of Labour is said to be prolonged when the duration in a primigravida is more than...
1. 3 hours
2. 8 hours
3. 12 hours
4. 20 hours

Correct answer: 4. 20 hours

Explanation: Latent phase in a Primigravida is prolonged if its more than 20 hours, multigravida if its more than 14 hours Labour Pattern Primigravida Multigravida Prolonged latent phase > 20hours >14 hr